Most common benign hepatic tumor is?
1. Hemangioma
2. Hepatocellular carcinoma
3. Hepatoma
4. Secondaries

Correct answer: 1. Hemangioma

Explanation: Ans. (a) HemangiomaRef.: Bailey & Love 26th ed. /1083BENIGN TUMOURS OF LIVER* Hemangiomas: These are the most common type of benign liver tumor. Most of these tumors do not cause symptoms and do not need treatment.* Hepatic adenomas: These are benign epithelial liver tumors that develop in the liver and are found mainly in women that using estrogens as contraceptives. Symptoms associated with hepatic adenomas are all associated with large lesions which can cause intense abdominal pain.* Focal nodular hyperplasia (FNH) is the second most common tumor of the liver. This tumor is the result of a congenital arteriovenous malformation hepatocyte response.